What is the treatment of choice for myoclonic epilepsy in children -
1. Phenytoin
2. Phenobarbitone
3. Sodium valproate
4. Ethosuximide

Correct answer: 3. Sodium valproate

Explanation: Ans. is 'c' i.e., Sodium valporate DOC for myoclonic epilepsy is valproic acid.